Cryoprecipitate contains all except -(
1. Factor VIII
2. Factor IX
3. Fibrinogen
4. VWF

Correct answer: 2. Factor IX

Explanation: Cryoprecipitate contains fibrinogen & coagulation factor concentrated from plasma by controlled thawing.10-20mL pack contains fibrinogen 150-300mg, factor VIII 80-120 U, von Willebrand factor 80-120U. Reference :Davidson's principle & practice of medicine 22nd edition pg no 1012.